MC cause of maternal mortality is:
1. Post-partum hemorrhage
2. Abortion
3. Sepsis
4. Obstruction

Correct answer: 1. Post-partum hemorrhage

Explanation: Post-partum hemorrhage